Tadalafil acts on Phosphodiesterase 5 and causes accumulation of?
1. cAMP
2. cGMP
3. PAF
4. IL 10

Correct answer: 2. cGMP

Explanation: Ans. is 'b' i.e., cGMP